The earliest symptom of glomus tumor is -
1. Pulsatile tinnitus
2. Hearing loss
3. Poly growth
4. Blood stained otorrhoea

Correct answer: 1. Pulsatile tinnitus

Explanation: Ans. is 'a' i.e., Pulsatile tinnitus "The two most common presenting symptoms of paraganglioma of temporal bone (Glomus tumor) deg are conductive hearing loss and pulsatile tinnitus"Hearing loss is conductive and slowly progressive Tinnitus is pulsatile? and of swishing character", synchronous with a pulse", and can be temporarily stopped by carotid pressure",Thus, both pulsatile tinnitus and deafness are seen in glomus tumor."The earliest symptom of a glomus tumor is pulsatile tinnitus:'